A child has adenoidectomy done but he has effusion in the middle ear. What is done next
1. Grommet insertion
2. Mastoidectomy
3. Tympanoplasty
4. Tonsillectomy

Correct answer: 1. Grommet insertion

Explanation: Effusion in the middle ear(serous otitis media)treated with myringotomy and aspiration of fluid and grommet insertion to provide continued aeration of the middle ear. Ref: Textbook of diseases of ENT, PL Dhingra, 7th edition, pg no. 70